Retrospective evaluation of medical performance is known as –
1. Medical audit
2. Medical evaluation
3. Performance evaluation
4. Professional screening

Correct answer: 1. Medical audit

Explanation: Medical audit

An objective and systematic way of evaluating the physicians performance is known "MEDICAL AUDIT"
The Evaluation of the "PROCESS" of medical care is carried out by comparing with a pre-determined standard.
Medical audit is the professional review of services provided by the hospital against given standard.
It is defined as the retrospective evaluation of quality of medical care through the scientific analysis of medical records.
Medical audit is an important component of quality assurance, which in turn is an essential part of any management process.